The duration of splinting a tooth lost due to Avulsion with alveolar fracture is
1. 7-10 days
2. 2 weeks
3. 2-3 weeks
4. 4-8 weeks

Correct answer: 4. 4-8 weeks

Explanation: 1-2 weeks for avulsion only…4-8 weeks for avulsion with alveolar fractures
9cohen 10 ed pg 649.